The syndrome associated with deficiency of Dermatan sulfate, heparan sulfate, chondroitin 4-sulfate and chondroitin 6-sulfate is
1. Hunter syndrome
2. Morquio syndrome B
3. Sly syndrome
4. Hurler syndrome

Correct answer: 3. Sly syndrome

Explanation: Disease name Abbreviation Enzyme Defective GaG(s) affected Symptoms Sly syndrome MPS VII b-Glucuronidase Dermatan sulfate, heparan sulfate, chondroitin 4-sulfate, chondroitin 6-sulfate Skeletal dysplasia, short stature, hepatomegaly, cloudy cornea Reference: Harper; 30th edition; Page no:639; Table: 50-8